One of the following adjunctive aids, necessary to check
on the efficacy of oral prophylaxis for young patient
1. Disclosing solution
2. Sandpaper strip
3. Synder test
4. Unwaxed floss

Correct answer: 1. Disclosing solution